Seat belt injury results in:
1. Injury involving mesentery
2. Splenic laceration
3. Liver laceration
4. Pancreatic laceration

Correct answer: 1. Injury involving mesentery

Explanation: Ans: a (Injury involving mesentery) Ref: Bailey & Love, 24th ed, p. 1147* Sudden deceleration can result in a tom mesentery* If any bruising of abdominal wall or even marks of clothing is impressed into the skin, laparotomy may be indicated* Diagnostic peritoneal lavage may be helpful in this situation* Laceration of mesentery - TransverseHorizontala) Transverse tear often imperils the blood supply of a segment of intestine, making resection necessaryb) Longitudinal tear can be closed by sutureConditions producing mesentery injury* Traumatic tears* Torsion* Embolism/thrombosis* A/c non specific adenitis* Cysts* Neoplasms- benign & malignantAttachments of mesentery (Root of mesentery)15 cm long and is directed obliquely downwards and to the right.It extends from the duodenojejunal flexure on the left side of vertebra L2 to the upper part of right sacroiliac jointRoot of mesentery crosses the following structuresa) Third part of the duodenum where the superior mesenteric vessels enter into itb) The abdominal aortac) The inferior venacavad) The right uretere) The right psoas major